Which body part is represented superiorly and medially within the postcentral gyrus?
1. Upper limb
2. Lower limb
3. Abdomen
4. Genitalia

Correct answer: 2. Lower limb

Explanation: In the postcentral gyrus (somatosensory area) of each hemisphere, the sensory information from the opposite side of the body is received. The lower limb representation is found in the superior and medial portion of the postcentral gyrus (see the figure below). The lateral portion of the postcentral gyrus receives somatic sensory information from the facial and neck region.